The following is an enzyme required for glycolysis:
1. Pyruvate kinase
2. Pyruvate carboxylase
3. Glucose-6-phosphatase
4. Glycerokinase

Correct answer: 1. Pyruvate kinase

Explanation: Phosphoenol pyruvate (PEP) is dephosphorylated to pyruvate, by pyruvate kinase. First PEP is made into a transient intermediary of enol pyruvate; which is spontaneously isomerized into keto pyruvate, the stable form of pyruvate.
Reference: Vasudevan 7th  ed, pg 108